Most dangerous complication in a pt. who had undergone thyroid surgery and develop hematoma at the operative site -
1. Respiratory obstruction
2. Recurrent laryngeal nerve palsy
3. Dysphagia
4. Shock

Correct answer: 1. Respiratory obstruction